Cutis marmorata occurs due to exposure to:-
1. Cold Temperature
2. Dust
3. Hot temperature
4. Humidity

Correct answer: 1. Cold Temperature

Explanation: Cutis marmorata is reddish or bluish reticulate (net like) pattern seen in neonates which is a physiological response to cold. While erythema-ab-igne is due to excessive exposure to heat, they are also red lesions and reticulate not necessarily seen in neonates, can be seen in all age after excessive exposure to heat.